All of the following are components of withdrawl reflex except
1. Flexor reflex
2. Reciprocal reflex
3. Inverse stretch reflex
4. Crossed extensor reflex

Correct answer: 3. Inverse stretch reflex

Explanation: Inverse stretch reflex is not component of withdrawl reflex.